A dead body with suspected poisoning is having hypostasis of red brown or deep blue in colour. It is suggestive of poisoning due to
1. Nitrates
2. Carbon monoxide
3. Cyanides
4. Barbiturates

Correct answer: 1. Nitrates

Explanation: A i.e. Nitrates